The pancreas arises from which embryonic germ layer
1. Ectoderm
2. Endoderm
3. Mesoderm
4. None of the above

Correct answer: 2. Endoderm